Peau d'orange in carcinoma breast is due to:
1. Obstruction of sub-dermal lymphatics
2. Infiltration of Coopers ligament
3. Hematogenous dissemination
4. Nipple involvement

Correct answer: 1. Obstruction of sub-dermal lymphatics

Explanation: Ans. a. Obstruction of suh-dermal lymphatics (Ref: Bailey 26/e p811, 25/e p840)Peau-d-orange is due to cutaneous lymphatic edema, caused by obstruction of subdermal lymphatics.Peau-d-orangePeau-d-orange is due to cutaneous lymphatic edema, where the infiltrated skin is tethered by sweat ducts, it can not swell, leading to an appearance like orange skinQ.Due to obstruction of subdermal lymphatics (lymphatic permeation by tumor cellsQ)Seen in advanced breast cancerQ (may be seen in chronic abscessQ)